The incidence of suicide is -
1. 8-10/100 population
2. 8-10/10000 population
3. 8- 10/1 lac population
4. 8-10/1 billion population

Correct answer: 3. 8- 10/1 lac population

Explanation: The official suicide rate in India in 2003 was 10.04/100,000 population/year. The rate in man was 12.2/100,000 and in women 9.1/100,000.